Vitamin for which only animal source is available is:-
1. Vitamin B1
2. Vitamin B2
3. Vitamin B12
4. Vitamin C

Correct answer: 3. Vitamin B12

Explanation: - Vitamin B12/Cyanocobalamine is only obtainable through animal sources, therefore strict vegetarians develop B12 deficiency. - Vit B12 deficiency leads to :- Megaloblastic anemia Peripheral neuritis SCDSC Infertility Atrophic glossitis Peripheral neuropathy.